The receptor of joint capsule and ligaments is
1. Slow adapting
2. Fast adapting
3. Different to slow and fast adapting
4. Non adapting

Correct answer: 1. Slow adapting

Explanation: Receptors can be classified into rapidly adapting (phasic) receptors and slowly adapting (tonic) receptors.Rapidly adapting receptorsSlowly adapting receptorsCutaneous mechanoreceptors such as:Meissner corpuscles (respond to changes in texture and slow vibrations)Pacinian corpuscles (respond to deep pressure and fast vibration)Cutaneous mechanoreceptors such as:Merkel cells (respond to sustained pressure and touch)Ruffini endings (respond to sustained pressure)ProprioceptorsNociceptors (free nerve endings - respond to thermal, chemical and thermal noxious stimuli)(Refer: Ganong's Review of Medical physiology 24th edition, pg no: 158)